'C' in C reactive protein stands for -
1. Capsular polysaccharide in pneumococcus
2. Concanavalin-A
3. Calretinin
4. Cellular

Correct answer: 1. Capsular polysaccharide in pneumococcus